A 67-year-old man complains of a lesion in his left eye. Physical examination reveals a triangular fold of vascularized conjunctiva growing horizontally into the cornea in the shape of an insect wing. Which of the following terms best describes this patient's lesion?
1. Loiasis
2. Onchocerciasis
3. Pinguecula
4. Pterygium

Correct answer: 4. Pterygium

Explanation: Pterygium is a fold of vascularized conjunctiva that grows horizontally onto the cornea in the shape of an insect wing (hence the name). It is often associated with a pinguecula (conjunctival lump, choice C) and frequently recurs after excision.Diagnosis: Pterygium